Best method to visualize the proximal bile duct is by:
1. Percutaneous transhepatic cholangiogram
2. EUS
3. ERCP
4. Transabdominal USG

Correct answer: 1. Percutaneous transhepatic cholangiogram

Explanation: IOC for proximal part of biliary tract = Percutaneous transhepatic cholangiogram (both diagnostic and therapeutic) IOC for distal part of biliary tract = ERCP (both diagnostic and therapeutic) IOC for most of biliary tract pathology like (CBD stone; choledochal cyst; biliary stricture; cholangiocarcinoma) = MRCP (only diagnostic)